IPC 314 deals with ?
1. Causing miscarriage with consent
2. Death of patient caused by miscarriage
3. Death of child during miscarriage
4. Abondoning the child

Correct answer: 2. Death of patient caused by miscarriage

Explanation: Ans. is 'b' i.e., Death of patient caused by miscarriage Offences related to abortion and child birth 312 , 313, 314 and 315 IPC : For causing voluntary miscarriage (criminal abortion). 312 IPC : Causing miscarriage with consent (3 years of imprisonment +- fine). 313 IPC : Causing miscarriage without consent of lady (10 years of imprisonment which can extend up to life +- fine). 314 IPC : Death of patient caused by miscarriage (10 years of imprisonment + fine). 315 IPC : Death of child during miscarriage (10 years imprisonment + fine). 316 IPC : Death of quick unborn child by act amouting to culpable homicide (10 years imprisonment + fine). 317 IPC : Abandoning a child (7 years imprisonment +- fine). 318 IPC : Concealment of birth by secret disposal of dead body (2 years imprisonment + fine).